Which of the following causes bony ankylosis
1. TB
2. Septic arthritis
3. Gouty arthritis
4. Behcet's disease

Correct answer: 2. Septic arthritis

Explanation: CAUSES OF BONY ANKYLOSIS : TRAUMA HEMARTHROSIS SUPPURATIVE ARTHRITIS RHEUMATOID ARTHRITIS OSTEOMYLITIS FRACTURE OF CONDYLE REF : MAHESWARI 9TH ED